True about follicular lymphoma:
1. Lymphadenopathy is the most common presentation
2. BCL-1 positive
3. CD5 positive
4. More common in males than females

Correct answer: 1. Lymphadenopathy is the most common presentation

Explanation: Answer- A. Lymphadenopathy is the most common presentationIt is the tumor of germinal centre (follicular centre), B cells, and is strongly associated with chromosomal translocation involving Bcl 2.Growth pattern is nodular (follicular) or nodular (follicular) and diffuse.The neoplastic cells closely resemble normal germinal centre B cells, expressing CD19, CD 20, CD 10, surface Ig, and Bcl 6.In most follicular lymphomas, centrocytes predominate.It usually presents in middle age and affects males and females equal.The most common presentation for follicular lymphoma is with new painless lymphadenopathy.